Pupillary dilatation is seen in which of the following drug abuse ?
1. Organophosphorus compounds
2. Belladona
3. Heroin
4. Morphine

Correct answer: 2. Belladona

Explanation: ATROPA BELLADONNA AND HYOSCYAMUS NIGER: Atropa belladonna/ deadly nightshade is a plant of Europe and Asia. All parts are toxic The active principle is - hyoscyamine. This group of compounds acts by inhibiting the muscarine effects of acetylcholine. Mydriatic Test: A drop of the solution to be tested is put into the eyes of a cat. The pupils dilate within half hour if datura is present, due to the presence of atropine. Drugs causing dilatation of pupils: Datura, Atropine, Belladonna, Cannabis, Cocaine, Alcohol